Most afferent fibers from the lateral geniculate nucleus terminate in the primary visual cortex is -
1. Layer 1
2. Layer 2 & 3
3. Layer 4
4. Layer 5 & 6

Correct answer: 3. Layer 4

Explanation: The axons from the lateral geniculate nucleus that form magnocellular pathway end in layer 4 of visual cortex, specifically in its deepest part, layer 4C. Many of the axons that form the parvocellular pathway also end in layer 4C.